Fever persisting even after treatment of pneumonia. The likely diagnosis is
1. Empyema
2. Fungal lesion
3. Hydrothorax
4. All of the above

Correct answer: 1. Empyema